Interscalene approach to brachial plexus block does not provide optimal surgical anaesthesia in the area of distribution of which of the following nerve –
1. Musculo cutaneous
2. Ulnar
3. Radial
4. Median

Correct answer: 2. Ulnar

Explanation: Ulnar nerve is usually spared by interscalene approach because injection is given in close proximity of upper nerve roots and inferior nerve roots (C8-T1) may be spared.